What is the difference between X-rays and Gamma rays?
1. X-rays are produced extranuclearly whereas gamma rays are produced in nuclear decays
2. X-rays have higher energies than gamma rays
3. Gamma rays are produced by bremsstrahlung
4. X-rays and gamma rays interact with matter differently

Correct answer: 1. X-rays are produced extranuclearly whereas gamma rays are produced in nuclear decays

Explanation: X rays are produced when accelerated electrons strike heavy metal nucleus and are deflected with deceleration. Gamma rays are produced intranuclearly to stabilize nucleus of the radioactive element.Reference: Khan Physics of Radiation therapy; 5th edition